Synaptic transmission in the autonomic ganglion is usually:
1. Adrenergic
2. Peptidergic
3. Cholinergic
4. Mediated by substance P

Correct answer: 3. Cholinergic

Explanation: Ans. (C) Cholinergic(Ref: Katzung 10/e p76; KDT 8th/e p104)Autonomic ganglia (both sympathetic as well as para-sympathetic) release ACh that stimulates the NN nicotinic receptors on the post-ganglionic fibres.